Hostile witness is one who:
1. Threatens the Judge
2. Threatens the prosecutor
3. Refuses to answer
4. Willfully gives false evidence

Correct answer: 4. Willfully gives false evidence

Explanation: Ans. Willfully gives false evidence